Frey's syndrome is due to involvement of:
1. Lingual nerve
2. Inferior alveolar nerve
3. Auriculotemporal nerve
4. Nerve to mylohyoid

Correct answer: 3. Auriculotemporal nerve

Explanation: Ans. C. Auriculotemporal nervea. Frey syndrome It is caused by injury to auriculotemporal nerve (Branch of Mandibular division of TRIGEMINAL NERVE), typically after surgical trauma to the parotid gland.b. Normal innervations of the parotid gland are by the postganglionic parasympathetic nerve fibres from the auriculotemporal nervec. During healing, auriculotemporal nerve fuses with great auricular nerve. As such, there is aberrant Reinnervation of postganglionic parasympathetic neurons to nearby sweat glands and cutaneous blood vessels.d. Thus while eating, a stimulus intended for salivation, evokes cutaneous hyperesthesia, sweating, and flushing on ipsilateral cheek.